Two particles have same diameter. The one which will pass easily through glomerular membrane has
1. Positive charge
2. Negative charge
3. Any of the above
4. Charge has no relation

Correct answer: 1. Positive charge

Explanation: Ans. (a) Positive charge(Ref: Ganong, 25th ed/p.677)Positively charged molecules are filtered more readily than negatively charged molecules